The lower denture bearing area has diﬀerent compressibility. Which is the most compressible tissue in lower arch?
1. Buccal shelf
2. Premylohyoid region
3. Labial sulcus
4. Retromolar pad

Correct answer: 4. Retromolar pad

Explanation: Buccal shelf area is a stress bearing area, however it is not compressible.
Retromolar pad has glandular tissues, loose areolar connective tissue and muscle fibres. It is more compressible but has no underlying compact bone.

ANATOMICAL LANDMARKS IN THE MANDIBLE
They can be broadly grouped into:
Limiting structures

Labial frenum
Labial vestibule
Buccal frenum
Buccal vestibule
Lingual frenum
Alveololingual sulcus
Retromolar pads
Pterygomandibular raphe.

Supporting structures

Buccal shelf area
Residual alveolar ridge.

Relief areas

Crest of the residual alveolar ridge
Mental foramen
Genial tubercles
Torus mandibularis.